Which of the follow ing intravenous induction agent is the most suitable for day care surgery-
1. Morphine
2. Ketamine
3. Propofol
4. Diazepam

Correct answer: 3. Propofol

Explanation: Ans. is 'c' i.e., Propofol Ambulatory (outpatient/day care) AnaesthesiaA) Premedicationo Usually premedication is not used. However in anxious patients, midazolam is the drug of choice. If patient is prone to nausea and vomiting, dolasetron is the drug of choice. Ondansetron is an alternative.B) Airwayo Laryngeal mask airway is preferred over intubation.C) Intravenous anaestheticso Intravenous route is the preferred method for induction. Propofol is the intravenous anaesthetic of choice for induction because of its smooth induction and rapid recovery.D) Inhalational agentso Inhalational anaesthetics are preferred for the maintenance. Desflurane (1st choice) and sevoflurane (2nd choice are the agents of choice. These agents are used along with N2O as N2O decreases the requirement of other anaesthetics hence fastening the recovery.E) Muscle relaxantso Mivacurium is the muscle relaxant of choice because of its short duration of action. Succinylcholine should be avoided as it causes post-operative myalgia. However, if intubation is required, succinylcholine remains the agent of choice.F) Opioid analgesicso Alfentanil is the agent of choice because of rapid onset and shorter duration of action. Fentanyl ox sufentanil can also be used.